Carriers not seen in -
1. Rabies
2. Typhoid fever
3. Polio
4. Malaria

Correct answer: 1. Rabies

Explanation: Ans. is 'a' i.e., Rabies Incubatory carrierConvalescent carrierHealthy carrierChronic carriero Measleso Mumpso Polioo Pertusiso Influenzao Diphtheriao Hepatitis Bo Typhoid fevero Dysentery (bacillary and amebic)o Cholerao Diphtheriao Whooping cougho Poliomyelitiso Cholerao Meningoccal meningitiso Salmonellao Diphtheriao Typhoid fevero Hepatitis Bo Dysenteryo Cerebrospinal meningitiso Malariao Gonorrheao Diphtheria